Structures preserved in functional radical dissection of the neck -a) Int. jugular veinb) Sternomastoidc) Lymph nodesd) Accessory nerve
1. abc
2. bcd
3. abd
4. acd

Correct answer: 3. abd

Explanation: Functional dissection is modified radical neck dissection (MRND Type III ) Modified radical neck dissection is done only selected cases where tumor is very well differentiated and less aggressive like in papillary carcinoma of thyroid with lymph node secondaries . Structures preserved here are sternomastoid muscle , internal jugular vein and spinal accessory nerve . Ref - Srb's manual of surgery 5/e p450